Why is Glucose-6-phosphate is not acted upon by Glucose-6-phosphatase enzyme in cytoplasm, even if glycogen synthesis and breakdown takes place in the same cell, having an enzymes present in cytoplasm.
1. Stearic inhibition of phosphatase by albumin
2. Glucose-6-phosphatase is present in endoplasmic reticulum while glycogen metabolism occurs in the cytoplasm
3. It is thermodynamically viable only when gluconeogenesis is occurring
4. Require protein kinase for its activation

Correct answer: 2. Glucose-6-phosphatase is present in endoplasmic reticulum while glycogen metabolism occurs in the cytoplasm

Explanation: Glycogen synthesis as well as breakdown both occurs in cytoplasm But the last step of breakdown of glycogen in liver i.e. glucose -6-phosphate to glucose formation occurs in endoplasmic reticulum and not in cytoplasm, as glucose-6-phosphatase is present in the membrane of endoplasmic reticulum.